Rituximab is used in:
1. Hodgkin's desease
2. Acute myeloid leukemia
3. Non-Hodgkin lymphoma
4. Multiple myeloma

Correct answer: 3. Non-Hodgkin lymphoma

Explanation: Rituximab injection is used alone or with other medicines to treat a type of cancer called non-Hodgkin's lymphoma (NHL). It helps the immune system destroy cancer cells. Rituximab injection is a monoclonal antibody. Rituximab is used together with fludarabine and cyclophosphamide to treat a type of cancer called chronic lymphocytic leukemia (CLL). Rituximab is used together with methotrexate to treat the symptoms of rheumatoid arthritis. It helps to keep joint damage from getting worse after at least one other medicine (eg, adalimumab, etanercept, or infliximab) has been used and did not work well. Rituximab is used together with steroids to treat granulomatosis with polyangiitis (GPA or Wegener's granulomatosis) and microscopic polyangiitis (MPA). These are immune disorders that cause blood vessels to be inflamed. This medicine is to be administered only by or under the immediate supervision of your doctor. Once a medicine has been approved for marketing for a certain use, experience may show that it is also useful for other medical problems. Although these uses are not included in product labeling, rituximab is used in certain patients with the following medical conditions: Immune or idiopathic thrombocytopenic purpura (ITP) (a blood disease). Posttransplant lymphoproliferative disorder (blood disorder occurring after an organ transplant) in children. Waldenstrom's macroglobulinemia (cancer of the blood). This product is available in the following dosage forms: Solution REFERENCE: www.mayoclinic.org